A child aged 3 yrs, presented with severe sensorineural deafness, was prescribed hearing aids, but showed no improvement. What is the next line of management?
1. Fenestration surgery
2. Stapes mobilisation
3. Cochlear implant
4. Conservative

Correct answer: 3. Cochlear implant

Explanation: Cochlear implants are neural prostheses that convert sound energy to electrical signals and can be used to stimulate the auditory division of the eighth nerve directly. Bilateral cochlear implants are increasingly common and serve to enhance sound localization and improve understanding of speech in background noise.